Which one of the following PUFA is considered to be the main source of eicosanoids in human tissues?
1. Linoleate
2. Linolenate
3. Arachidonate
4. Palmitate

Correct answer: 3. Arachidonate

Explanation: Arachidonate, which may be obtained from the diet, but is usually derived from the position 2 of phospholipids in the plasma membrane by the action of phospholipase A2, is the substrate for the synthesis of the PG2, TX2 series (prostanoids) by the cyclooxygenase pathway, or the LT4 and LX4 series by the lipoxygenase pathway, with the two pathways competing for the arachidonate substrate.Ref: Harper's Biochemistry; 30th edition; Chapter 21; Lipids of Physiologic Significance